Which of the following helps most in nephrolithiasis?
1. Low sodium diet
2. Low calcium diet
3. High sodium diet
4. Low citrate diet

Correct answer: 1. Low sodium diet

Explanation: Treatment of renal calculi is often empirical, based on odds (Ca oxalate stones most common), clinical history, and/or the metabolic workup. An increase in fluid intake to at least 2.5-3 L/d is perhaps the single most effective intervention, regardless of the type of stone. Conservative recommendations for pts with Ca oxalate stones (i.e., low-salt, low-fat, moderate-protein diet) are thought to be healthful in general and therefore advisable in pts whose condition is otherwise uncomplicated. In contrast to prior assumptions, dietary calcium intake does not contribute to stone risk; rather, dietary calcium may help to reduce oxalate absorption and reduce stone risk. * Calcium intake in patients with kidney stones should be normal with adequate water intake.